A 32-year-woman is admitted to the emergency department as a rape case. Fluids from her vagina are collected for DNA and fructose examination. Which of the following male organs is responsible for fructose production?
1. Prostate gland
2. Seminal vesicles
3. Kidneys
4. Testis

Correct answer: 2. Seminal vesicles

Explanation: Seminal vesicles produce the alkaline constituent of the ejaculate. This includes fructose and choline. The prostate gland secretes prostaglandins, citric acid, and acid phosphatase. The kidneys are the site of urine production. The testes produce spermatozoa and sex hormones. The bulbourethral glands (Cowper's glands) produce mucous secretions that enter the penile bulb.